Spironolactone bodies are seen in-
1. Neuron
2. Mitocnondria
3. Hippocampus
4. None of the above

Correct answer: 4. None of the above